Which of the following is not true regarding enterococcus?
1. Common species are E.faecalis and E.faecium
2. It is a cause for peritonitis
3. It is universally susceptible to penicillins
4. Can cause intra-abdominal abscess

Correct answer: 3. It is universally susceptible to penicillins

Explanation: The enterococci are commonly found in gastrointestinal and genital tract of humans and animals. 
Enterococci are nonpathogenic, but now are emerging as important agents of nosocomial infection.
The antimicrobial therapy includes combination of aminoglycosides with penicillin, ampicillin, or vancomycin.
Enterococci are less sensitive to penicillin and gentamicin and are resistant to cephalosporins. Plasmid-mediated resistance is a major cause of resistance among drug-resistant strains of Enterococcus. 
Vancomycin-resistant Enterococcus (VRE) has been emerging in the recent years.